30 years old 3 gravida reaches Gynaec OPD with amenorhea 6 months and bleeding PV since 1 day and pallor ++. Her USG findings are 28 weeks. IUFD with abruption placenta. What is her best line of management:-
1. Immediate caesarean section
2. ARM + Oxytocin drip
3. ARM + syntodrip + arrange blood
4. Wait for spontaneous onset of labour

Correct answer: 3. ARM + syntodrip + arrange blood

Explanation: Abruptio placenta carries a risk of DIC in pregnant patient & ARM plays a therapeutic role by draining thromboplastin & procoagulants rich blood from retroplacentac clots outside uterine cavity.